Insulin contains which trace element -
1. Cobalt
2. Copper
3. Zinc
4. Selenium

Correct answer: 3. Zinc

Explanation: Ans. is 'c' i.e.. ZincMicro minerals or trace elementsElementMetabolic funtionDeficiency manifestionChromiumPotentiate the effect of insulinImpaired glucose metabolismCobaltConstituent of vitamin Bi:Macrocytic anemiaCopperConstituent of oxidase enzymes, e.g., tyrosinase, lysyl oxidase, superoxide dismutase, cytochrome oxidase, ferroxidse and ceruloplasmin, involved in iron absorption and mobilization'Microcytic hyporchromic anemia, depigmentation of skin, hair. Excessive deposition in liver in Wilson's disease, Menkes disease ("Kinky" or "steely" hair disease) due to copper-binding P-type ATPase gene mutationFluorideConstituent of bone and teeth, strengthens bone and teethDental cariesIodineConstituent of thyroid hormones (T3 and T4)Cretinism in children and goiter in adultsIronConstituent of heme and non-heme compounds and transport, storage of O2, cytochrome oxidase, xanthine oxidase, catalase, peroxidaseMicrocytic anemiaManganeseCofactor for number of enzymes, e.g., arginase, carboxylase, kinase, enolase, glucosyl transferase, phosphoglucomutaseNot well definedMolybdenumConstituent of xanthine oxidase, sulfite oxidase and aldehyde oxidaseXanthinuriaSeleniumAntioxidant, cofactor for glutathione peroxidase, protects cell against membrane lipid peroxidationCardiomyopathyZincCofactor for enzymes in DNA, RNA and protein synthesis, constituent of insulin, carbonic anhvdrase, carboxypeptidase, LDH, alcohol dehydrogenase, alkaline phosphatase, glutamate dehydrogenase. Porphobilinogen synthase, superoxide dismutase.Growth failure, impaired wound healing, defects in taste and smell, loss of apetite